O2 delivery to tissues depends on all/except
1. Cardiac output
2. Type of fluid administered
3. Hemoglobin concentration
4. Affinity of hemoglobin for 02

Correct answer: 2. Type of fluid administered

Explanation: Increased cardiac output would increase the O2 transport to the tissues. Increased Hb concentration would also increase the O2 transport. Affinity of Hb for O2 decreases in tissues; more O2 is liberated by Hb.